Study time, place, and person of a disease is__________study -
1. Descriptive
2. Analytic
3. Association
4. Comparison

Correct answer: 1. Descriptive

Explanation: Ans. is 'a' i.e., Descriptive